Treatment of choice for sputum positive pulmonary tuberculosis detected in 1st trimester of preg ancy-
1. Defer till second trimester
2. Start cat. I immediately
3. Start cat. II immediately
4. Start cat. III immediately

Correct answer: 2. Start cat. I immediately